A mother does not remember the date of her last menstrual period and no antenatal ultrasound reports are available. Which of the following tools can be used to assess the gestational age of the neonate born to this mother?
1. Apgar score
2. Extended Silverman score
3. Expanded new Ballard score
4. Downe's score

Correct answer: 3. Expanded new Ballard score

Explanation: Expanded new Ballard score -assess the gestational age of a neonate. It has an accuracy of +/- 1 week. Extended Silverman score (for preterm neonates) & Downe's score (for term neonates): assess respiratory distress in neonate. Apgar score- evaluate newborn's condition